'Post-mortem staining' is distinguished from bruise by all EXCEPT:
1. Occurs in dependent parts
2. Edges are clearly defined
3. Does not appear elevated
4. None of the above

Correct answer: 4. None of the above

Explanation: Differences between Hypostasis & Bruise Trait Hypostasis Bruise Cause Distension of capillaries & veins Rupture of blood vessels Site Over most dependent parts of body Occur at site of injury, anywhere on body Appearance No elevation of involved area Swollen, due to collected blood & oedema Epidermis Not abraded May be abraded Margins Clearly defined Merge with surrounding tissues Colour Bluish-purple Varying colour according to age Effect of pressure Absent in areas of less pressure Little lighter over areas of pressure